Pirani scoring of CTEV includes all except?
1. Curvature of the medial border of the foot
2. Severity of the medial crease
3. Position of the lateral part of the head of the talus
4. Emptiness of the heel

Correct answer: 1. Curvature of the medial border of the foot

Explanation: Ans.(a) Curvature of the medial border of the foot PIRANI SCORINGThe Pirani score is a simple, easy to use tool for assessing the severity of each of the components of a clubfoot.Pirani Scoring:The components are scored as follows:Each component may score 0, 0.5 or 1Hind foot contracture score (HCFS):Mid foot contracture score (MFCS):Posterior creaseEmpty heelRigid equinusMid foot contracture score (MFCS):Medial creaseCurvature of lateral borderPosition of head of talus